A patient with cushingoid features presents with hemoptysis: he shows no response to dexamethasone suppression test; most likely diagnosis here is -
1. Adrenal hyperplasia
2. Adrenal adenoma
3. Ca lung with ectopic ACTH production
4. Pituitary microadenoma

Correct answer: 3. Ca lung with ectopic ACTH production